Mallory Hyaline is characteristically seen with
1. Yellow fever
2. Hepatitis B infection
3. Alcoholic hepatitis
4. Primary sclerosing cholangitis

Correct answer: 3. Alcoholic hepatitis

Explanation: ALCOHOLIC HEPATITIS. Alcoholic hepatitis develops acutely, usually following a bout of heavy drinking. Repeated episodes of alcoholic hepatitis superimposed on pre-existing fatty liver are almost certainly a forerunner of alcoholic cirrhosis. Histologically, the features of alcoholic hepatitis are as follows : i)Hepatocellular necrosis: Single or small clusters of hepatocytes, especially in the centrilobular area (zone 3), undergo ballooning degeneration and necrosis. ii)Mallory bodies or alcoholic hyalin: These are eosinophilic, intracytoplasmic inclusions seen in perinuclear location within swollen and ballooned hepatocytes. Mallory bodies are also found in certain other conditions such as: primary biliary cirrhosis, Indian childhood cirrhosis, cholestatic syndromes, Wilson's disease, intestinal bypass surgery, focal nodular hyperplasia and hepatocellular carcinoma. TEXTBOOK OF PATHOLOGY 6TH EDITION HARSH MOHAN PAGE NO:621,622